Which is a common metabolic process in human as well as bacteria
1. Purine synthesis
2. Nitrogen fixation
3. Mucolipid formation
4. Nonoxidative photophosphorylation

Correct answer: 1. Purine synthesis

Explanation: All forms of life (except protozoa) synthesize purine and pyrimidine nucleotides.